Number of Hepatic segments in Liver
1. 4
2. 6
3. 8
4. 10

Correct answer: 3. 8

Explanation: The Couinaud classification of liver anatomy divides the liver into eight functionally independent segments.Each segment has its own vascular inflow, outflow and biliary drainage.In the centre of each segment, there is a branch of the portal vein, hepatic artery and bile duct.Reference: Chaurasia Volume II; 7th edition; Page no: 336